A patient presents with arthritis, hyperpigmentation of skin and hypogonadism the most likely diagnosis is:
1. Hemochromatosis
2. Ectopic Acth secreting tumor of lung
3. Wilsons disease
4. Rheumatoid arthritis

Correct answer: 1. Hemochromatosis

Explanation: All the features of this patient presented with is positive for diagnosis of hemochromatosis, which is a common iron storage disorder characterised by an inappropriate increase in absorption of iron from the intestine. Excessive iron deposition in various organs produce certain characteristic symptoms. The association of following helps in the diagnosis: Liver: Hepatomegaly, cirrhosis, hepatocellular carcinoma Skin: Hyperpigmentation Pancreas: Diabetes mellitus Joints: Arthropathy Heart: Chronic heart failure Pituitary: Hypogonadism due to impairment of hypothalamo pituitary axis by iron deposition Ref: Hemochromatosis: Genetics, Pathophsiology, Diagnosis and Treatment By James.C. Barton, Pages 3-5 ; Harrison's Principle of Internal Medicine, 16th Edition, Page 2301